Diaphragmatic hernia can occur through all the following except
1. Esophageal opening
2. Costovertebral triangle
3. Costal & sternal attachment of diaphragm
4. Inferior vena cava opening

Correct answer: 4. Inferior vena cava opening

Explanation: Sites of Congenital Hernia
-        Posterolateral costo vertebral hernia - (Foramen of Bochdalek) - Most common. More common on left side.
-        Retrosternal - (Foramen of Morgagni) - More common on right side
-        Posterior hernia - Failure of posterior part development of diaphragm.
-        Central hernia - Rupture of fetal membranous diaphragm - Rare. If present, more commonly seen on left side.
-        Through esophageal opening.